The musculocutaneous nerve supplies all the below given muscles except
1. Biceps brachii
2. Coracobrachialis
3. Anconeus
4. Brachialis

Correct answer: 3. Anconeus

Explanation: Anconeus is supplied by a branch of the radial nerve given off in the Radial/spiral groove. All other muscles given below are contents of the anterior compartment of the arm and hence supplied by the musculocutaneous nerve.Reference: Chaurasia; 6th edition